Which nerve is affected in Saturday Night Palsy?
1. Radial nerve
2. Ulnar nerve
3. Anterior Interosseus nerve
4. Median nerve

Correct answer: 1. Radial nerve

Explanation: Ans. is 'a' i.e., Radial nerve Saturday night palsy (weekend palsy)* In this condition, there is compression of the radial nerve between spiral groove and the lateral intermuscular septum.* It is known after an event which typically happens on a Saturday night weekend when in an inebriated condition, a person slump with his mid-arm compressed between the arm of the chair and his body.